In Down's syndrome -
1. Gap (sandle gap)
2. Cliodactyly
3. Hypotonia
4. All

Correct answer: 4. All